VLDL is formed in -
1. Intestine
2. Liver
3. From chylomicrons
4. Blood

Correct answer: 2. Liver

Explanation: Ans. is 'b' i.e., Liver CompositionLipoproteinSourceDiameter (nm)Density (g/ml)Protein (%)Lipid (%)Main Lipid ComponentsApolipoproteinsChylomicronsIntestine90-100<0.951-298-99Triacyl glycerolA-I, A-II, A-IV, B-48, C-I, C-II, C-III, EChylomicron remnantsChylomicrons45-150< 1.0066-892-94Triacylglycerol, phospholipids, cholesterolB-48, EVLDLLiver30-900.95-1.0067-1090-93TriacylglycerolB-100, C-I, C-II, C-IIIIDLVLDL25-351.006-1.0191189Triacylglycerol, cholesterolB-100, ELDLVLDL20-251.019-1.0632179CholesterolB-100HDLLiver, intestine VLDL, chylomicrons Phospholipids, cholesterolA-I, A-II, A-IV, C-I C-II, C-III, D. EHDL1 20-251.019-1.0633268 HDL2 10-201.063-1.1253367 HDL3 5-101.125-1.2105743 Preb-HDL3 < 5> 1.210 A-IAlbumin/free fatty acidsAdipose tissue > 1.281991Free fatty acids